Grisel's syndrome is
1. Glucosaminidase deficiency
2. Atlanto-axial joint dislocation
3. Hexosaminidase deficiency
4. L4-L5 displacement

Correct answer: 2. Atlanto-axial joint dislocation

Explanation: Grisel's syndromeSpontaneous subluxation of the atlantoaxial joint following peri-pharyngeal inflammation is known as Grisel's syndrome Children are most frequently affected and classically have torticollis associated with neck stiffness or pain upon neck movement(Refer: Nelson's Textbook of Pediatrics, SAE, 1st edition, pg no. 3297, 3298)